A girl about to marry has comedonal acne. Drug to treat such a case is:
1. Topical antibiotic
2. Benzoyl peroxide
3. Retinoids
4. Estrogen

Correct answer: 3. Retinoids

Explanation: Retinoids are mainly comedolytic Acne Comedones are characteristic of: Acne vulgaris Comedones are: * Small cysts, * formed in hair follicles, * due to blockage of the follicular orifice * by the retention of sebum and keratinous material. Ref : Ref : Thomas b Habif 6th Ed.